Which enzyme is deficient in c/c alcoholics?
1. Aconitase
2. Citrate synthase
3. Isocitrate dehydrogenase
4. Alpha ketoglutarate dehydrogenase

Correct answer: 4. Alpha ketoglutarate dehydrogenase

Explanation: Ans. D. Alpha ketoglutarate dehydrogenaseBecause in alcoholics there is thiamine deficiency, so a thiamine dependent enzyme will be deficient.So answer is Alpha Ketoglutarate Dehydrogenase.